HbH is characterized by -
1. Deletion of three alpha chain genes
2. Deletion of three alpha chains and one beta chain genes
3. Deletion of two alpha and two beta chain genes
4. Deletion of four alpha chain genes

Correct answer: 1. Deletion of three alpha chain genes

Explanation: Deletion of 3 alpha chain genes produces Hb H which is a beta globin chain tetramer & markedly impaired alpha chain synthesis.

Reference : Harsh mohan textbook of pathology sixth edition pg no 321.